Common for both simple and facilitated diffusion is:
1. Can be blocked by specific inhibitors
2. Follows Fick's Law
3. Follows saturation kinetics
4. Transport along the concentration gradient

Correct answer: 4. Transport along the concentration gradient

Explanation: Common factor between Simple and Facilitated diffusion is that they both transport solute along the concentration gradient. Facilitated diffusion is a passive transport mechanism that does not requires use of ATP and involves a carrier protein and it follows saturation kinetics. Fick's law of diffusion is followed by simple diffusion only..